HLA - B47 is associated with
1. Myasthenia gravis
2. Behcet's disease
3. Congenital adrenal hyperplasia
4. Abacavir hypersensitivity

Correct answer: 3. Congenital adrenal hyperplasia

Explanation: HLA - B8 - Myasthenia gravis
HLA-B51 - Behcet's disease
HLA - B47 - CAH
HLA- B57 - Abacavir hypersensitivity.